All of the following are impulse control disorders, EXCEPT:
1. Pyromania
2. Kleptomania
3. Trichotillomania
4. Capgras syndrome

Correct answer: 4. Capgras syndrome

Explanation: Impulse control disorders are characterized by impaired ability to resist impulses to engage in ultimately self destructive behavior (or behavior with deleterious long term consequence). Patients develop an increased sense of tension or arousal before engaging in the behavior, and a sense of pleasure, gratification or relief during the behavior. Impulse control disorders are: Pyromania, kleptomania, pathological gambling, intermittent explosive disorder, trichotillomania and body focused repetitive behavior disorders. Capgras syndrome: Is a rare type of delusional mis-identification syndrome. It involves the belief that familiar people and objects have been replaced by imposters. It is associated as a part of an inter ictal and post ictal psychosis in patients with epilepsy and is believed to be due to disrupted dorsal pathway from visual cortex to the limbic system the inferior parietal lobule. Ref: Epilepsy A to Z: A Concise Encyclopedia By William O. Tatum, 2nd Edition, Page 60; Handbook of Assessment and Treatment Planning for Psychological Disorders By Martin M. Antony, 2nd Edition, Pages 607-9; CURRENT Diagnosis and Treatment: Psychiatry, 2nd Edition By Michael H. Ebert, Chapter 28.